Intravenous inducing agent with maximum plasma protein binding -
1. Thiopental
2. Ketamine
3. Etomidate
4. Propofol

Correct answer: 4. Propofol

Explanation: Ans. is 'd' i.e., PropofolIntravenous inducing agentProtien binding (%)Thiopental85%Methhexital85%Propofol98%Etomidate75%Ketamine12%